The name of the sample group of individuals when followed for successive examination to evaluate the effect of oral preventive programmes is:
1. Panel group
2. Cohort group
3. High risk group
4. Prospective group

Correct answer: 1. Panel group